Korner's septum is seen in?
1. Petro-squamous suture
2. Temporo-squamous suture
3. Petro-mastoid suture
4. Fronto-zygomatic suture

Correct answer: 1. Petro-squamous suture

Explanation: Korner's septum also known as petrosquamous lamina ia a bony plate formed at the junction of mastoid and temporal squama and it represents the persistence of petrosquamous suture.